All are the methods of Arterial blood pressure monitoring except
1. Capnography
2. Radial artery cannulation
3. Oscillometry
4. Arterial Tonometry

Correct answer: 1. Capnography

Explanation: Cardiovascular monitoring Noninvasive Arterial Blood Pressure monitoring methods : Palpation Doppler Auscultation Oscillometry Arterial Tonometry Invasive Arterial Blood Pressure monitoring method Arterial cannulation ( eg : radial, ulnar, femoral ,etc) Pulmonary artery catheterization Central venous catheterization Cardiac output measurement Thermodilution Dye Dilution Pulse Contour Devices Esophageal Doppler Thoracic Bioimpedance Fick Principle Echocardiography Transthoracic echocardiography (TTE) Transesophageal echocardiography (TEE) Capnography : It is Non Cardiovascular monitoring method